True pseudo rosettes are seen in all except
1. Neuroblastoma
2. Retinoblastoma
3. Medulloblastoma
4. Thecoma

Correct answer: 4. Thecoma

Explanation: Thecoma *Neuroblastoma: Homer-Wright pseudo rosettes can be found in which the tumor cells are concentrically arranged around the central space filled with neutrophil. *Medulloblastoma: The tumor has the potential to express neural cells or Homer Wright rosettes as occur in neuroblastoma. *Retinoblastoma: In well differentiated tumors there are Flexner-Winter-Steiner rosettes and fleurettes reflecting photoreceptor differentiation. *Thecoma: They are composed of well differentiated fibroblasts with more or less scant collagenous connective tissue interspace between the cells.